Parenchymatous xerosis of conjunctiva is caused by –a) Trachomab) Vitamin A deficiencyc) Vernal catarrhd) Phlyctenular keratoconjunctivitise) Alkali burns
1. ae
2. b
3. ab
4. ad

Correct answer: 1. ae

Explanation: Parenchymatous xerosis :- Trachoma, Diphtheria conjunctivitis, SJS, Pemphigus, Thermal/ chemical/ radiational burn, lagophthalmos due to symblepharon.
Epithelial xerosis:- Vitamin A deficiency (Xerophthalmia).